Bird beak appearance of esophagus:
1. Achalasia cardia
2. Cancer esophagus
3. Schatzki ring
4. DES

Correct answer: 1. Achalasia cardia

Explanation: Ans. (a) Achalasia cardiaRef: Bailey and Love 26th edition, Page 1014Interesting Barium swallow findings in esophagus:* Bird beak appearance: Achalasia* Rat tail appearance: Cancer esophagus more commonly* Hurst phenomenon: Achalasia* Cork screw appearance: DES* Postcricoid web: Plummer Winson syndrome* Naclerio V sign (Pneumo mediastinum in Xray) - Esophageal Perforation